Which type of cataract is/are associated with Myotonic dystrophy:
1. Posterior subcapsular
2. Anterior subcapsular
3. Nuclear cataract
4. Cortical cataract

Correct answer: 1. Posterior subcapsular

Explanation: Answer- A. Posterior subcapsularMyotonlc dystrophy is associated with, posterior subcapsular type of presenile cataract. Christmas tree cataract is typically seen in this condition.